All endothelial cells are involved in the production of thrombomodulin EXCEPT those found in:
1. Hepatic circulation
2. Cutaneous circulation
3. Cerebral microcirculation
4. Renal circulation

Correct answer: 3. Cerebral microcirculation

Explanation: Endothelium of the blood vessels plays an active role in preventing the extension of clots into blood vessels. All endothelial cells except those in the cerebral circulation produce thrombomodulin. Ref: Review of Medical Physiology By Ganong, 22nd Edition, Page 543; Robbins Pathologic Basis of Disease, 6th Edition, Page 120